Post mortem lividity persists till :
1. 24 hours
2. 18 hours
3. 2-3 days
4. Merges with putrefactive changes

Correct answer: 4. Merges with putrefactive changes

Explanation: D i.e. Merges with putrefactive changes - Postmortem lividity also k/a suggilation, vabices, hypostasis, staining, darkening of death is an early sign of death & commences within an hour of death.Q - Fixed in about 4 - 6 hoursQ; reaches maximum between 6-12 hoursQ and persists until putrefaction sets in.Q Lividity does not develop in drowning in running water & areas of contact flattening.Q When lividity first develops (i.e. before fixing), on applying firm pressure it disappears & releasing pressure it reappears (Difference from bruise).